Incidence of which lymphoma is MORE common in females?
1. Mantle cell lymphoma
2. Follicular lymphoma
3. Burkitt's lymphoma
4. Diffuse large B cell lymphoma

Correct answer: 2. Follicular lymphoma

Explanation: In follicular lymphoma, percentage of affected males is only 42%, ie 58 % are females. Other lymphomas are more common in males. Ref: Harrisons principles of internal medicine, 18th edition, Page: 926.